A patient with Hodgkin's lymphoma is having a single cervical lymphnode. Biopsy showed lymphocyte: predominant variant Which of the following is the treatment of eboke -
1. Chemotherapy with Radiotherapy
2. Chemotherapy only
3. Radiotherapy only
4. No treatment needed

Correct answer: 3. Radiotherapy only

Explanation: Historically ,radiotherapy to lymph nodes is used to treat localised stage 1A(involvement of a single lymph node region) or stage 2 A(involvement of two or more lymph node regions) effectively , with no adverse prognostic features . Reference :Davidson 's principles & practice of medicine 22nd edition pg no1043